The most accepted modality of treatment of 2D myopia in a 13-year-old girl is –
1. Spectacles
2. Excimer laser
3. Contact lens
4. Radial keratotomy

Correct answer: 1. Spectacles

Explanation: Most commonly used method for low myopia (-3D) is spectacles. However, treatment of choice for myopia is contact lens.